What is D - Sleep ?
1. NREM sleep
2. REM sleep
3. Deep sleep
4. Drug induced sleep

Correct answer: 2. REM sleep

Explanation: D - Sleep is the other name for Desynchronized sleep or the REM sleep. The alternative names for REM sleep are: Desynchronized sleep (D - Sleep) Dream sleep Active sleep Paradoxical sleep